Which of the following periodontal diseases does not have calculus?
1. ANUG
2. Chronic adult periodontitis
3. Juvenile periodontitis
4. Periodontal abscess

Correct answer: 3. Juvenile periodontitis